Data of happy,Moderately happy and Very happy is
1. Nominal
2. Ratio
3. Ordinal
4. Interval

Correct answer: 3. Ordinal

Explanation: Ref:Park's Textbook of Preventive and Social Medicine 25th Ed